Peptidoglycans are present in -a) Gram negative bacteriab) Gram positive bacteriac) Fungid) Protozoa
1. ac
2. a
3. ab
4. bc

Correct answer: 3. ab

Explanation: Cell wall

The layer just outside the bacterial cytoplasmic membrane is the peptidoglycan layer or cell wall.
It is present in both gram-positive and gram negative organisms.


The peptidoglycan layer of gram positive bacteria is thick and contain teichoic acid, while in grant negative bacteria it is thin and does not contain teichoic acid.
In gram negative organisms, there is outer cell membrane just outside the thin peptidoglycan layer (cell wall) → Unique feature of gram negative bacteria → dissolution of this layer by ethanol is responsible for grain negativity on gram staining.